Which absorbs least water?
1. Mucilage
2. Cellulose
3. Gums
4. Pectin

Correct answer: 2. Cellulose

Explanation: Cellulose: It is unbranched, non-starch homopolysaccharide It is made up of b - Glucose Acts as FIBRES in the diet Cellulose is present in the cell walls of plants and other organisms FIBRES 2 TYPES: INSOLUBLE SOLUBLE Cellulose, Hemicellulose Excreted unchanged. Thus, it absorbs least water Pectins, Gums Absorbs H2O& converted to Gel form, which is excreted